The karyotype in testicular feminising syndrome is ?
1. XX
2. XY
3. XXY
4. VON

Correct answer: 2. XY

Explanation: Ans. is 'b' i.e., XY o Androgen insensitivity syndrome (AIS), formerly known as testicular feminization, is an X-linked recessive condition resulting in a failure of normal masculinization of the external genitalia in chromosomally male individuals. o Individual with 'androgen insensitivity syndrome' are XY individuals (male karyotype) with a female phenotype.